Griseofulvin is not useful in one of the following:
1. Tinea capitis
2. Tinea cruris
3. Tinea versicolor
4. Tinea pedis

Correct answer: 3. Tinea versicolor

Explanation: Ans. (C) Tinea versicolor(Ref: CMDT -2010/110)Griseofulvin is used for dermatophytoses including Tinea capitis, Tinea cruris, Tinea pedis, Tinea unguum and Tinea corporis etc.Tinea versicolor is caused by a yeast Malassezia furfur. It is treated by selenium sulfide and ketoconazole shampoo.